The management of fat embolism includes all of the following, EXCEPT:
1. Oxygen
2. Heparinization
3. Low Molecular weight dextran
4. Pulmonary Embolectomy

Correct answer: 4. Pulmonary Embolectomy

Explanation: Fat embolism is usually seen after fracture of long bones and pelvis. It usually occurs after 24-72hours of injury. The mainstay of treatment is adequate hydration and ventilation. Heparin may help to decrease circulating lipid levels, it is usually indicated in patients with alteration in the clotting and fibrinolytic systems. Ref: Emergency Neurology Edited By Karen L. Roos, Page 290 ; Skeletal Injury in The Child By John Anthony Ogden, 3rd Edition, Pages 322-3